In rosette-shaped cataract the suture act as backbone in:
1. Early-rosette cataract
2. Late-rosette cataract
3. Both of the above
4. None of the above

Correct answer: 1. Early-rosette cataract

Explanation: Ans. Early-rosette cataract